True about subendocardial hemorrhages are all, except
1. Involves the right ventricular wall
2. Flame shaped hemorrhages
3. Continuous pattern
4. May be seen after head injury

Correct answer: 1. Involves the right ventricular wall

Explanation: SUBENDOCARDIAL HAEMORRHAGES: The haemorrhages are seen in the left ventricle, on the upper part of the left side of the interventricular septum and on the opposing papillary muscles and adjacent columnae carnae. The haemorrhages are flame-shaped, confluent and tend to occur in one continuous sheet rather than patches. When the bleeding is severe, it may raise the endocardium into a flat blister. The mechanism of production is obscure. They are nonspecific finding and are seen: (1) after sudden severe hypotension due to severe loss of blood or from shock, (2) after intracranial damage, such as head injury, cerebral oedema, surgical craniotomy or tumours, (3) death from ectopic pregnancy, ruptured uterus, antepartum or postpartum haemorrhage, abortion, (4) various types of poisoning, especially arsenic. Ref:- k s narayan reddy; pg num:-112